Which of the following sign is present in Subungual melanoma?
1. Hutchinson's sign
2. Fitzpatrick's sign
3. Pastia's sign
4. Frank's sign

Correct answer: 1. Hutchinson's sign

Explanation: Hutchinson's sign: Periungual extension of brown-black pigmentation from longitudinal melanonychia onto the proximal and lateral nail folds, is an important indicator of subungual melanoma. Fitzpatrick's sign: Also called as Dimple sign present in dermatofibroma. Pastia's sign: in streptococcal scarlet fever. Frank's sign-Frank's sign is a diagonal crease inthe ear lobeextending from the tragus across the lobule to the rear edge of the auricle. Frank's sign is indicative ofcardiovascular diseaseand/or diabetes. Hutchinson's sign- If there is skin lesions at the tip, side, or root of the nose there are strong chances of ocular inflammation and corneal denervation in HZO.